Gonioscopy is used for
1. Anterior chamber angle
2. Posterior chamber angle
3. Anterior surface of lens
4. Posterior chamber

Correct answer: 1. Anterior chamber angle

Explanation: Gonioscopy describes the use of a goniolens in conjunction with a slit lamp or operating microscope to gain a view of the iridocorneal angle, or the anatomical angle formed between the eye's cornea and iris. Reference: AK Khurana 7th Edition